Which vaccine is contraindicated in child with history of convulsions -
1. DPT
2. Measles
3. Typhoid
4. BCG

Correct answer: 1. DPT

Explanation: Ans. is `a' i.e., DPT o DPT vaccine is contraindicated in children with progressive neurological disease and children with convulsions following the first dose. o These contraindications are because of the adverse reactions that the child can develop to the pertussis component of the vaccine. Contraindications to DPT vaccine i) Progressive neurological disease is ii)Contraindications to secomd dose a) Convulsions within 72 hours b) Encephalopathy within 7 hours c) Anaphylaxis d) Hyporesponsive or hypotensive episodes e) Hyperpyrexia with fever > 105 F f) Persistent or high pitch cry > 3 hours Contraindications for measles vaccine o Pregnancy o Deficient cell mediated immunity Contraindications to typhoid vaccine Within 24 hours of antibiotic treatment Pregnancy Contraindications to BCG vaccine Immunosuppression and HIV Acute illness Patients on steroids Immunosuppression